Poisoning caused by bullet retained in body is;
1. Lead
2. Phosphorus
3. Nitro cellulose
4. Iron

Correct answer: 1. Lead

Explanation: Lead poisoning may occur due to absorption of lead from lead bullets remaining in body. Synovial fluid is capable of dissolving lead